Pseudo kidney is -
1. Thickened bowel loop on USG
2. Hydronephrosis
3. Unascended kidney
4. Undescended testes

Correct answer: 1. Thickened bowel loop on USG

Explanation: Ans. is 'a' i.e., Thickened bowel loop on USG Pseudokidney sign or target sign is ultrasonographic findings of Intussusception.